Salmonella is associated with which of the following parasitic infection
1. Schistosoma hematobium
2. Paragonimus
3. Taenia solium
4. Hymenolepis nana

Correct answer: 1. Schistosoma hematobium

Explanation: In endemic areas where Salmonella and Schistosoma species co-occur, several lines of evidence suggest a synergistic bacteria-parasite interaction that results in a protracted course for the salmonella infection that has proven difficult to diagnose and therapeutically remedy. Ref : Paniker's textbook of Medical Parasitology Pgno : 145 Ananthanarayana textbook of Microbiology 9th edition Pgno : 290-299